Most common brain tumour is-
1. Astrocytoma
2. Meningioma
3. Metastasis
4. Oligodendroma

Correct answer: 3. Metastasis

Explanation: Ans. is 'c' i.e., Metastasis o MC brain tumors-Metastaseso MC primary brain tumor-Gliomao MC Glioma-Astrocytomaso MC Astrocytomas-Glioblastoma multiforme